The standard normal distribution
1. Is skewed to the left
2. Has variance = 1.0
3. Has standard deviation = 0.0
4. Has mean = 1.0

Correct answer: 2. Has variance = 1.0

Explanation: Normal Distribution:

Is also known as ‘Gaussian distribution’ or ‘Standard distribution’
Type of distribution: Is the distribution of values of a quantitative variable such that they are symmetric with respect to a middle value with same mean, median and mode, and then the frequencies taper off rapidly and symmetrically on both sides – ‘bell shaped distribution’.